Which of the following drugs is not used in treatment of multiple sclerosis
1. Natalizumab
2. Omalizumab
3. Ocrelizumab
4. Fingolimod

Correct answer: 2. Omalizumab

Explanation: Omalizumab is used in treatment of asthma.